Sickling in 'HbS' disease is primarily caused by
1. Decreased solubility
2. Decreased stability
3. Altered function
4. Altered O2 binding capacity

Correct answer: 1. Decreased solubility

Explanation: sickle-cell disease, which is caused by mutation of a single base out of the 3 x 109 in the genome, a T-to-A DNA substitution, which in turn results in an A-to-U change in the mRNA corresponding to the sixth codon of the b-globin gene. The altered codon specifies a different amino acid (valine rather than glutamic acid), and this causes a structural abnormality of the b-globin molecule leading to haemoglobin aggregation and red blood cell "sickling.".When HbS is deoxygenated, it undergoes a pronounced decrease in solubility